Which of the following behavioral problems would suggest an organic brain lesion -
1. Formal thought disorder
2. Auditory hallucinations
3. Visual hallucinations
4. Depression

Correct answer: 3. Visual hallucinations

Explanation: Visual and other non-auditory hallucinations are seen commonly in organic psychiatric illness. On the other hand, auditory hallucinations are common in schizophrenia.